All improves after dialysis except -
1. Pericarditis
2. Peripheral neuropathy
3. Myopathy
4. Seizures

Correct answer: 3. Myopathy

Explanation: Ans. is 'c' i.e., Myopathy o The response to dialysis in Peripheral Neuropathy and seizures is variable.o These abnormalities may persist even after initiations of dialysis.Effect of dialysis and related therapy:o (I) denotes an abnormality that usually improves after dialysis and related therapy.o (P) denotes an abnormality that tends to persist or even progress after dialysis and related therapy.o (D) denotes an abnormality that usually develops after dialysis and related therapy.Fluid and electrolyte disturbancesNeuromuscular disturbanceDermatologic disturbancesVolume expansion (I)Fatigue (I)Pallor (P)Hyponatremia (I)Sleep disorders (P)Hyperpigmentation (I, P or D)Hyperkalemia (I)Headache (P)Pruritus (P)Hyperphosphatemia (I)Impaired mentation (I)Ecchymoses (I)Endocrine metabolic disturbancesLethargy (I)Nephrogenic fibrosing dermopathy (D)Secondary hyperparathyroidism (I or P)Asterixis (I)Uremic frost (I)Adynamic bone (D)Muscular irritabilityGastrointestinal disturbancesVitamin D deficient osteomalacia (I)Peripheral neuropathy (I or P)Anorexia (I)Carbohydrate resistance (I)Restless leg syndrome (I or P)Nausea and vomiting (I)Hyperurecemia (I or P)Myoclonus (I)GastroenteritisHypertriglyceridemia (I or P)Seizures (1 or P)Peptc ulcer (I or P)Increased Lp (a) level (P)Coma (I)Gastrointestinal bleeding (I,P or D)Decreased high density lipoproteinMuscle cramps (P or D)Idiopathic ascites (D)level(P)Dialysis disequilibrium syndrome (D)Hematologic and immunologicProteinenergy malnutrition (I or P)Myopathy (P or D)disturbancesImpaired growth and development (P)Cardiovacular and pulmonaryAnemia (I)Infertility and sexual dysfunction (P)disturbancesLymphocytopenia (P)Amenorrhea (I/P)Arterial hypertension (I or P)Bleeding diathesis (I or D)B2-microglubulin associated amyloidosis ( P or D)Congestive heart failure or pulmonary edema (I)Increased susceptibility to infection (I or P) Pericarditis (I)Leucopenia (D)Hypertrophic or dilated cardiomyopathy (I, P or D)Thrombocytopenia (D) Uremic lung (I)Accelerated atherosclerosis (P or D)Hypotension and arrhythmias (D)Vascular calcification (P or D)